Wasting of the intrinsic muscles of the hand can be expected to follow injury of the -
1. Ulnar nerve
2. Radial nerve
3. Brachial nerve
4. Axillary nerve

Correct answer: 1. Ulnar nerve

Explanation: Intrinsic muscle of the hand * muscles of thenar eminence ( abductor pollicis brevis,flexor pollicis brevis, opponents pollicis) - median nerve *adductor of thumb ( adductor pollicis) - deep branch of ulnar nerve * muscle on medial side of palm( palmaris brevis)- superficial branch of ulnar nerve * muscle of hypothenar eminence (abductor digiti minimi, flexor digiti minimi, opponents digiti minimi)- deep branch of ulnar nerve * lumbricals - 1st& 2nd - median nerve; 3rd & 4th - ulnar nerve *palmar interossei & dorsal interossei - deep branch of ulnar nerve REF: MAHESWARI 9TH ED